The rich source of vitamin E is
1. Fish oil
2. Liver
3. Sun Flower Oil
4. Green vegetables

Correct answer: 3. Sun Flower Oil

Explanation: Many vegetable oils  are rich  sources of vitamin E. Wheat germ oil,  cotton seed oil, peanut oil, corn oil and sunflower oil are the good sources of this vitamin.
Ref : Satyanarayana, 3rd ed, pg. 129